D-Dimer values may be increased in all of the following except
1. Myocardial infarction
2. Pneumonia
3. Anticoagulant therapy
4. Pregnancy

Correct answer: 3. Anticoagulant therapy

Explanation: The d-dimer assay is not specific. Levels increase in patients with myocardial infarction, pneumonia, sepsis, cancer, and the postoperative state and those in the second or third trimester of pregnancy. Therefore, d-dimer rarely has a useful role among hospitalized patients, because levels are frequently elevated due to systemic illness.Ref: Harrison's 18/e p2172, 17/e p2172